A patient presents with pain in Meta-Tarso-Phalangeal joints and is a known case of chronic renal failure. This is due to accumulation of -
1. Rh factor
2. Uric acid
3. Serum urea
4. HLA B27 typing

Correct answer: 2. Uric acid